Facility of aqueous outflow is ______I/min/mm Hg. –
1. 0.8
2. 0.6
3. 0.4
4. 0.2

Correct answer: 4. 0.2

Explanation: The average C-value (facility of aqueous outflow) is 0.28 ± 0.05 1/min/mmHg.